Cork screw esophagus is seen in -
1. Diffuse esophageal spasm
2. Achalasia cardia
3. CA esophagus
4. Globus hystericus

Correct answer: 1. Diffuse esophageal spasm

Explanation: Ans. is 'a' i.e., Diffuse esophageal spasm o Radiological appearances of diffuse esophageal spasm have been described as:Curling esophagusCorkscrew esophagus orPseudodiverticulosiso Diffuse esophageal spasm is a motor disorder of esophagus characterized by repetitive simultaneous non-peristal tic contractions.o Symptoms are substernal chest pain and/or dysphagiao Diagnosed by manometry